The role of adjuvant in a DPT vaccine is :-
1. Decrease hypersensitivity
2. Decrease absorption of vaccine
3. Increase antigenicity
4. Increase the shelf life of a vaccine

Correct answer: 3. Increase antigenicity

Explanation: Aluminum hydroxide / phosphate is used as Adjuvant/adsorbent in DPT vaccine ; Binds three components (D,P,T) together Increases immunogenicity / Antigenicity - Thiomersal is added to DPT vaccine as a preservative. - Magnesium chloride is added to OPV vaccine: Provides stability.